A man presented with pulsatile tinnitus and hearing loss. A vascular mass is seen behind the tympanic membrane. Diagnosis can be:
1. Glomus Jugulare
2. Ca mastoid
3. Acoustic neuroma
4. Angiofibroma

Correct answer: 1. Glomus Jugulare

Explanation: Glomus tumors arise either in the middle ear (glomus tympanicum) or in the jugular bulb with upward erosion into the hypotympanum (glomus jugulare). They present clinically with pulsatile tinnitus and hearing loss. A vascular mass may be visible behind an intact tympanic membrane. Large glomus jugulare tumors are often associated with multiple cranial neuropathies, especially involving nerves VII, IX, X, XI, and XII. Treatment usually requires surgery, radiotherapy, or both.